In which of the following , Drug resistance is due to Inactivation by enzymes?
1. Glycopeptides
2. Rifampicin
3. Aminoglycosides
4. Macrolides

Correct answer: 3. Aminoglycosides

Explanation: Inactivation by enzymes is major mode of resistance against A: Aminoglycosides B: Beta Lactams C: Chloramphenicol There are Three principal mechanisms of resistance in Aminoglycosides : 1. Production of a Transferase enzyme that inactivates the Aminoglycoside by adenylylation, acetylation, or phosphorylation. (Main mechanism) 2. Impaired entry of Aminoglycoside into the cell. 3. Deleted or Altered receptor protein on the 30S ribosomal subunit as a result of a mutation. Other drugs in the given options - resistance is due to modification of target site.